Most common chronic arthritis seen in children ?
1. JRA
2. Rheumatic arthritis
3. Rheumatic fever
4. Sepsis

Correct answer: 1. JRA

Explanation: Ans. is 'a' i.e., JRA Amongst the given option only JRA causes chronic arthritis in children. Arthritis o Arthritis in children is diagnosed if - A)There is swelling or effusion in a joint B) There are any 2 of the following features - i) Decreased ROM iii) Tenderness ii) Pain iv) Increased local temprature Differential diagnosis of arthritis Acute arthritis (usually Acute rheumatic fever Transient (`toxic') synovitis Arthritis associated with Kawasaki disease Henoch-Scholein purpura 5. Septic arthritis (Staphylococcus aureus, Hemophilus influenzae, Neisseria meningitidis) Trauma Subacute arthritis (2-6 weeks) I. Reactive arthritis secondary to extra-articular infection Arthritis associated with SLE, dermatomyositis, polyarteritis nodosa Bone pains (? arthritis) associated with leukemia / neuroblastoma Arthritis associated with lyme disease / brucellosis Sickle cell disease, bleeding diathesis, hemarthrosis Primary immunodeficiencies (e.g., Bruton's hypogammaglobulinemia) II. Chronic arthritis (> 6 weeks) Juvenile rheumatoid arthritis 4. Legg-Calve-Perthes disease Ankylosing arthritis 5. Psoriasis Tubercular arthritis 6. Inflammatory bowel disease